In Human Immunodeficiency Virus (HIV) infection, diffuse lymphadenopathy in a person who is clinically well is usually a sign of which of the following?
1. Lymphoma
2. Kaposi's sarcoma
3. Tuberculosis
4. Persistent generalized lymphadenopathy

Correct answer: 4. Persistent generalized lymphadenopathy